All the statements regarding atherosclerosis are true, except:
1. Naked eye changes are not visible for the first 12 h
2. Triphenyl tetrazolium chloride can help in detecting infracted area
3. Most commonly involves the left coronary artery
4. Common site is the anterior wall of right ventricle

Correct answer: 4. Common site is the anterior wall of right ventricle

Explanation: Ans. Common site is the anterior wall of right ventricle